Tom smith's arthritis is due to
1. Pyogenic infection in infancy
2. TB
3. RA
4. OA

Correct answer: 1. Pyogenic infection in infancy

Explanation: Answer- A. Pyogenic infection in infancyTom smith arthritis is the sepfic arthritis of hip joint, occurs in infancy. At this stage head of the femur is cartilaginous and is rapidly and completely destroyed by the pyogenic process.